Selective pressure impression technique indicated in
1. Firm healthy mucosa covering over the ridge
2. Flabby ridges
3. Knife edge with movable mucosa
4. When sharp bony spicules are present in the ridge

Correct answer: 1. Firm healthy mucosa covering over the ridge